Which of the following drugs should NOT be used in the setting of severe hypertension in elderly on empirical basis?
1. Enalapril
2. Amlodipine
3. Chlorthiazide
4. Prazosin

Correct answer: 4. Prazosin

Explanation: For the elderly, alpha blockers like prazosin can cause severe hypotension and 1st dose hypotension DOC for elderly with severe HTN - CCBs DOC for HTN with diabetes- ARBs or ACE inhibitors Ref:Tripati 8th edition